Which of the following does not go into chromic hepatitis stage -
1. HBV
2. HCV
3. HDV
4. HEV

Correct answer: 4. HEV

Explanation: Hepatitis E infection is mild&self limited&there is no carrier state. it does not lleadto chronic hepatitis REF:
MICROBIOLOGY ANANTHA NARAYANAN NINTH EDITION PAGE.550